Increased acidosis and hypoxaemia is seen in :
1. Normal Doppler wave form
2. Increased fetal diastolic flow in the middle cerebral artery with absent diastolic flow in the aorta
3. Presence of the 'notch' in the uterine artery
4. Absent umbilical artery

Correct answer: 2. Increased fetal diastolic flow in the middle cerebral artery with absent diastolic flow in the aorta

Explanation: Increased fetal diastolic flow in the middle cerebral artery with absent diastolic flow in the aorta